Alopecia is commonly seen in poisoning by
1. Copper
2. Mercury
3. Iodine
4. Thallium

Correct answer: 4. Thallium

Explanation: Thallium may interfere with riboflavin homeostasis leading to dermatitis, alopecia, and neuropathy. Alopecia may also be seen in arsenic and lead poisoning Ref - Krishan Vij textbook of forensic medicine and toxicology 5e pg: 473